In RPGN hallmark pathology is-
1. Marked enlargement of mesangial tissue
2. Crescent formation
3. Thickening of basement membrane
4. All of the above

Correct answer: 2. Crescent formation

Explanation: Distinctive lesions of proliferation are called crescents owing to their shape as they fill Bowman's space. Crescents are formed both by the proliferation of parietal cells and by the migration of monocytes/macrophages into Bowman's space Ref:- Robbins book of basic pathology 10th Ed. pg 532.